MacEwen's sign is seen in:
1. Lead poisoning
2. Arsenic poisoning
3. Ethanol poisoning
4. Copper poisoning

Correct answer: 3. Ethanol poisoning

Explanation: MacEwen signs (MacEwen pupil) The pupil of a patient comatose from alcohol intoxication dilates briefly when the patient is stimulated but not awakened, while that of a patient comatose from structural disease does not get dilated for mild stimulation. Ref: Principles of forensic medicine, Apurva nandy, 3rd Edition,Page 847.